All are immediate causes of death in a case of burn,except -
1. Suffocation
2. Embolism
3. Injury
4. Sepsis

Correct answer: 4. Sepsis

Explanation: Ans. is 'd' i.e., Sepsis Causes of death in burnso Causes of death in bums may be divided into :Causes of immediate death : These are (1) neurogenic shock (primary shock), (2) hypovolaemic shock (secondary shock), (3) suffocation, due to inhaled CO, C02, (4) cyanide intoxication, (5) fat embolism,(6) cerebral or pulmonary edema, and (7) accidental injuries during bum.Causes of delayed death : These are: (1) renal failure (acute tubular necrosis), (2) infections (sepsis, gangrene, tetanus) and (3) centrilobular necrosis of liver.